All of the following are essential components of G. Anesthesia except:-
1. Analgesia
2. Muscles relaxation
3. Loss of reflex response
4. Paralysis

Correct answer: 4. Paralysis

Explanation: Basic components of general anesthesia:- Unconsciousness Amnesia Muscle relaxation Loss of reflex response Analgesia